True regarding child labor act ?
1. Does not include children aged 12-14 years
2. Does not include children in wool cleaning
3. Does not include children in cashew descalding and processing
4. Excludes school based activities

Correct answer: 4. Excludes school based activities

Explanation: Ans. is 'd' i.e., Excludes school based activities Child labour act (19861 Except in the process of family-based work or recognized school-based activities, children are not permitted to work in occupations concerned with :- Passenger, goods mail transport by railways - Carpet weaving Cinder picking, cleaning of ash-pits - Cement manufacturing Building construction operations - Cloth printing Dyeing, weaving q Manufacturing of matches, explosives, fire-works Beedi making - Mica cutting, splitting Abattoirs - Wool cleaning Printing - Cashew descalding and processing Soldering process in electronic industries This act includes children less than 15 years of age